A Salivary gland tumour, which histologically shows a double layer of epithelial cells based on a reactive lymphoid stroma, is
1. Pleomorphic adenoma
2. Mucoepidermoid carcinoma
3. Acinic cell tumour
4. Warthin tumour

Correct answer: 4. Warthin tumour